A 6 year old child has fever, excessive sweating, and skin lesions characterized by flaking of skin. Oral changes include a metallic taste and ulcerative stomatitis. The child has been using teeth whitening gels bought from market since one month. The most likely diagnosis is?
1. Epidermolysis bullosa
2. Erosive lichen planus
3. Acrodynia
4. Darier's disease

Correct answer: 3. Acrodynia